Diagnostic investigation in carcinoma pan2
1. MDCT
2. PET scan
3. ERCP
4. MRCP

Correct answer: 1. MDCT

Explanation: MDCT Diagnostic investigation in carcinoma pancreas is MDCT MDCT is investigation of choice for evaluation of lesions arising in the pancreas Investigation of choice for diagnosis, staging and follow up in CA pancreas : MDCT Ref:Sabiston 20th edition Pgno :1544